Bad trips are characteristically associated with the addiction of
1. Cannabis
2. Cocaine
3. Morphine
4. LSD

Correct answer: 4. LSD

Explanation: Lysergic Acid Diethylamide (LSD) & Psilocybin (magic mushroom) are among the MOST COMMONLY used hallucinogens. Perceptual changes occur within 40 minutes of oral ingestion. Vision is affected most often; the subject experiences heightened visual awareness of objects, especially colours. Images may be distorted in shape or size and true hallucinations occur. These may be pleasurable but also terrifying in nature, the experience then being referred to as a 'bad trip'. There may also be distorted perception, of time, sounds and tactile sensations. -Flashback experiences can occur several months after the last dose; during these the psychotic experiences of LSD are experienced again with their original intensity.